All the following are advantages of the Jaipur foot over the conventional such foot except
1. Appearance of the Jaipur foot is that of normal foot
2. It is suitable for bare foot walking
3. Allows movement at fore foot and midfoot
4. Jaipur foot is electrically operated

Correct answer: 4. Jaipur foot is electrically operated